Stop codons are:
1. UAA
2. UAG
3. UGA
4. All

Correct answer: 4. All

Explanation: A, B, C i.e. UAA, UAG, UGA